The radioisotope used for ablation of thyroid gland is
1. Iodine 123
2. Iodine 125
3. Iodine 131
4. Technetium 99 pertechnate

Correct answer: 3. Iodine 131

Explanation: Ans. (c) Iodine 131Sutton 7th/1504